Trusell and Johnson's medium is used for the cultivation of
1. Giardia
2. Leishmania
3. Trichomonas
4. Chilomastix

Correct answer: 3. Trichomonas

Explanation: Trussell and Johnson's medium is used for trichomonas which gives good growth containing peptone, sodium chloride, sod.thioglycate, normal human serum Ref: D.R. Arora.Medical parasitology 4th ed pg 46